Most common gene responsible for hereditary hemochromatosis is?
1. HJV gene
2. HAMP gene
3. TfR2 gene
4. HFE gene

Correct answer: 4. HFE gene

Explanation: harshmohan textbook of pathology 7th edition. *idiopathic haemochromatosis associated with over expression of HFE gene located on chromosome no 6 close to HLA gene locus and normally regulate intestinal absorption of iron.